Positive nitrogen balance is seen in -
1. Growing children
2. Acute illness
3. Scurvy
4. Osteomalcia

Correct answer: 1. Growing children

Explanation: Ans. is 'a' i.e., Growing children Principle of nitrogen balanceo It is commonly used to determine the requirement of protein.o In a normal adult living under normal usual conditions the amount of amino acid ingested in a day undergoes degradation and the nitrogen from such a metabolism is excreted in a day.o Nitrogen balance means the amount of nitrogen lost in 24 hr period is equal to that consumed during this period i.e. the patient is in state of nitrogen balance.o A patient is said to be in a state of positive nitrogen balance when more nitrogen is retained in the body than lost, while the person is said to be in state of negative nitrogen balance when more nitrogen is lost than ingested.o Normally positive nitrogen balance is seen in growing children, convalescing patients and pregnant women,o Negative nitrogen balance is observed during starvation, malnutrition, fever, after extensive burns or trauma and in post operative conditions.